A patient presented with contralateral hemiplegia and sub-periosteal bleeding. Which of the following will be the initial investigation of choice?
1. Chest x-ray
2. CT-scan
3. MRI
4. PET - scan

Correct answer: 2. CT-scan

Explanation: Ans. (b) CT-scanRef: Harrison 19th ed. / 2582* For evaluation of bleeding in the brain the preferred investigation is CT scan. The bleeding in the brain shows up as hyper-density on CT scan.